Which of the following drugs binds to albumin?
1. penicillin
2. Lidocaine
3. Propanolol
4. Verapamil

Correct answer: 1. penicillin

Explanation: Most drugs possess a physicochemical affinity for plasma proteins. Acidic drugs generally bind to plasma albumin and basic drugs to the a1 acid glycoprotein. Eg for acidic drugs: albumin ;Barbiturates,Benzodiazepines,NSAIDs,Valproic acid,Phenytoin,Penicillins,Sulfonamides,Tetracyclines,Tolbutamide,Warfarin To a1 acid glycoprotein basic drugs like b-blockers (Propranalolol), Bupivacaine,Lidocaine, Disopyramide ,Imipramine, Methadone, Prazosin, Quinidine, Verapamil binds Ref ;KD Tripathi Pharmacology 7th edition (page no; 19)